child rolls over by ?
1. 3 months
2. 5 months
3. 7 months
4. 8 months

Correct answer: 2. 5 months

Explanation: O.P. Ghai 7th ed, page7 Achild rolls over by 5 months